Hypothermia is used in all except :
1. Neonatal asphyxia
2. Cardiac surgery
3. Hyperthermia
4. Arrythmia

Correct answer: 4. Arrythmia

Explanation: D i.e. Arrythmia Hypothermia Hypothermia provides protection against ischemia & hypoxiaQ by reducing metabolic rate about 8 %/ degC(2 It decreases the cerebral metabolic rate & is cerebro-protective during episodes of cerebral ischemia 1-3degC hypothermia (core temperature 34degC) is indicated in NeurosurgeryQ Carotid artery surgery Cardiac surgeryQ Traumatic brain injury ARDSQ Malignant hyperthermiaQ Procedure where tissue ischemia is anticipated Prolonged surgeriesQ Dysarrhythmia occurs at temperature below 30degC, spontaneous ventricular fibrillation may be seen but is not likely above 20degC. As hypothermia is arrythmogenic so hypothermia is C/1 in arrythmiaQ